In erect posture commonest siteof foreign body in bronchus
1. Right lower lobe
2. Right upper lobe
3. Carina
4. Left lower lobe

Correct answer: 1. Right lower lobe

Explanation: Foreign bodies like pins,coins entering the trachea pass into the right bronchus,which is wider,more vertical & is in line with trachea.Most of the human beings want to take the path of least resistance,so the foreign bodies in the trachea travel down into right bronchus and then into posterior basal segments of the lower lobe of the lung. Reference:B D Chaurasia's Human anatomy-Volume 1,5th edition,page no:288